Under RCH programme, intervention done in selected districts-
1. Immunization
2. Treatment of STD
3. ORS therapy
4. Vitamin A supplementation

Correct answer: 2. Treatment of STD

Explanation: Treatment of STD done in selected districts. Reference:Park's textbook of preventive and social medicine,K.Park,23rd edition,page no:453